Which of the following exposure carries the maximum risk of transmission of HIV -
1. Sexual intercourse
2. Blood transfusion
3. Trans-placental
4. Needle prick

Correct answer: 2. Blood transfusion

Explanation: HIV transmission Route of Transmission Percentage of total cases Efficiency of route Sexual 87 0.01-1% Blood and blood products 01 >90% Sharing needles/Synringes 02 0.3% Mother to Child transmission 05 30% Ref : park 25th edition Pgno : 364